In ophthalmology, muscle resection leads to
1. Weakening of muscle
2. Strengthening of muscle
3. Muscle paralysis
4. No effect

Correct answer: 2. Strengthening of muscle

Explanation: Ans. (b) Strengthening of muscleRef Kanski 8/e, p. 769Weakening procedures on recti muscleStrengthening proceduresRecessionResection[?]Retro equatorial myopexy (FADEN)AdvancementMarginal myotomyDouble breasting or tuckingMyectomyCinchingFree tenotomy or disinsertionTransposition